What would be the race of individual if skull bone having following feature rounded nasal opening, horseshoe shaped palette. Round orbit & cephalic index above 80:
1. Negro
2. Mongol
3. European
4. Aryans

Correct answer: 2. Mongol

Explanation: B i.e. Mongols